Which of the following pancreatic function test can be useful for estimation of bicarbonate as well as enzyme secretory activity of pancreas?
1. CCK PZ test
2. Bentiromide test
3. D-xylose test
4. CCK- secretin test

Correct answer: 4. CCK- secretin test

Explanation: Ans. d (CCK- secretin test). (Ref. Harrison, Internal Medicine, 16th ed., 1894)TESTS FOR EXOCRINE PANCREATIC FUNCTION# Direct stimulation of pancreas with IV secretin + CCK# Study of intra-luminal digestion products including bentiromide test# Serum elastase trypsinogen level.# Secretin - CCK test permits measurement of pancreatic lipase, amylase, trypsin & chymotrypsin, HCO3- output & fecal fat content & suggests chronic pancreatic damage.